Single skin lesion is seen in which type of leprosy -
1. LL
2. TT
3. BL
4. BT

Correct answer: 2. TT